Placenta succenturiata may have all except :
1. Preterm delivary
2. PPH
3. Missing lobe
4. Sepsis and subinvolution

Correct answer: 1. Preterm delivary

Explanation: Placenta succenturiata is a condition in which one or more small lobes of placenta are placed at varying distances from the main placental margin. If it is retained it leads to ...... PPH Sub involution Uterine sepsis Polyp formation Ref: Datta Obs 9e pg 205.